46 years old male Ashwath, comes to your OPD and while giving history suddenly becomes blank and blames that your stole his thoughts. Diagnosis
1. Thought block
2. Thought withdrawal
3. Neologism
4. Perseverration

Correct answer: 2. Thought withdrawal

Explanation: It is a disorder of thought possession.